Which of the following is a radioprotector
1. Colony stimulating factor
2. Cisplatin
3. Amifostine
4. Methotrexate

Correct answer: 3. Amifostine

Explanation: Amifostine:- It is an organic thiophosphate which on activation by alkaline phosphatase acts as a cytoprotective against cancer chemotherapy and radiotherapy. Uses:- It is particularly used for prophylaxis of cisplatin induced neuro/nephrotoxicity, and radiotherapy related xerostomia. Adverse effects:- Short term side effects of amifostine are nausea, vomiting, hypotension and infusion related reaction. Delayed adverse effect is hypocalcaemia. Ref:- kd tripathi; pg num:-876